Brown-sequardsyndrome
1. Pain loss in the opposite side of lesion
2. Fine touch lost in opposite side of lesion
3. UMN paralysis in opposite side of lesion
4. LMN paralysis in opposite side of lesion

Correct answer: 1. Pain loss in the opposite side of lesion

Explanation: Sites of damage in Brown-Sequard Syndrome:Ascending sensory pathway: Dorsal-column pathway, Ventrolateral spinothalamic tract.Descending motor pathways: Corticospinal tract.Effects:Ipsilateral loss of discriminative touch, vibration, and proprioception below the level of lesion - (due to lesion of fasciculus cuneatus and gracilis)Controlateral loss of temp. and pain, 2-3 segments below the level of lesion - (due to loss of ventrolateral spinothalamic tract)Weakness and spasticity of certain muscle groups on same side of the body - (due to loss of corticospinal tract) (i.e., LMN paralysis on same side)Ref: Ganong's 23rd Edition pg: 177